Investigation of choice for detection & characterization of interstitial lung disease is –
1. MRI
2. Chest X-ray
3. High resolution CT scan
4. Ventilation perfusion scan

Correct answer: 3. High resolution CT scan

Explanation: HRCT is the investigation of choice for interstitial lung disease.